The half life of plasma albumin is approximately
1. 7 days
2. 20 days
3. 60 days
4. 90 days

Correct answer: 2. 20 days